Commonest sarcoma in children is -
1. Rhabdomyosarcoma
2. Lipoma
3. Angiosarcoma
4. Fibrosarcoma

Correct answer: 1. Rhabdomyosarcoma

Explanation: Rhabdomyosarcoma

Commonest sarcoma in children is rhabdomyosarcoma.
It is a tumour of Primitive mesodermal origin.
The most common site is head and neck.
The genitourinary region is the second most common site.
Other sites are extremities and retroperitoneum